Atrial natriuretic polypeptide (ANP) acts by?
1. Decreasing aldosterone production
2. Decreasing sodium reabsorption from renal tubules
3. Inhibiting release of renin
4. All of the above

Correct answer: 4. All of the above

Explanation: ANP is secreted by right atrium acts in many ways such as decreasing aldosterone production, decrease sodium absorption from renal tubules and also inhibit release of renin. (Ref: General pathology in Textbook of PATHOLOGY 6th Edition by HARSH MOHAN)